Most common ovarian tumor in less than 20 years is:
1. Epithelial tumour
2. Germ cell tumour
3. Metastatic tumour
4. Sexcord stromal tumour

Correct answer: 2. Germ cell tumour